A child of 3 years will be able to:
1. Copy circle
2. Ride bicycle
3. Copy cross
4. Copy triangle

Correct answer: 1. Copy circle

Explanation: Ans. A: Copy Circle Copying a circle: 3 years Rides tricycle: 3 years Copies cross: 4 years Copying triangle: 5 years